Concept of lingual orthodontic appliance was introduced by
1. Atkinson
2. Mershon
3. Johnson
4. Kurz

Correct answer: 4. Kurz